Small vessel vasculitis are -a)  Classical PANb)  Wegner's granulomatosisc) Giant cell arteritis d) HSPe) Churg-strauss syndrome
1. bde
2. ade
3. ace
4. bce

Correct answer: 1. bde

Explanation: a) Large vessel vasculitis: Giant cell arteritis (temporal arteritis), Takayasu arteritis, Cogan syndrome.
b) Medium vessel vasculitis: PAN (classical PAN), kawasaki disease, Buerger’s disease.
c) Small vessel vasculitis ; HSP, Wegner’s granulomatosis, microscopic polyangitis, churg strauss syndrome, Cryoglobulinemia, SLE, idiopathic crescentic glomerulonephritis, Bechet’s syndrome, renal limited vasculitis